IQ is calculated by
1. Mental age/chronological age x 100
2. Mental age - chronological age x 100
3. Chronological age/mental age x 100
4. Chronological age - mental age x 100

Correct answer: 1. Mental age/chronological age x 100

Explanation: IQ = mental age / chronological age x 100Idiot: 0-24Imbecile: 25-49Moron: 50-69Borderline: 70-79Low normal: 80-89Normal: 90-109Superior: 110-119Very superior 120-139Near genius 140 and over Park 23e pg: 679